cells of cerebral cortex are all except
1. Cajal cells
2. Pyramidal cells
3. Stellate cells
4. Purkinje cells

Correct answer: 4. Purkinje cells

Explanation: Purkinje cells are present in cerebellum while stellate, cajal and pyramidal cells are present in cerebral cortex.